Characteristic subperiosteal bone resorption in Hyperparathyroidism is best seen at?
1. Rib margins
2. Medial margin of proximal humerus
3. Radial border of middle phalanx
4. Lamina dura

Correct answer: 3. Radial border of middle phalanx

Explanation: Ans:C.)Radial border of middle phalanx The classic features of hyperparathyroidism are subperiosteal resorption, endosteal resorption, and osteopenia. Subperiosteal bone resorption classically affects the radial aspects of the proximal and middle phalanges of the 2nd and 3rd fingers medial aspect of tibia, femur, humerus lamina dura: floating teeth (not specific)